Following cells are responsible for acid secretion in kidney?
1. I cells
2. P cells
3. Mesangial cell
4. Pericytes

Correct answer: 1. I cells

Explanation: A i.e. I cells Specialized